Postponing paying attention to a "conscious impulse" or "conflict" is a mature defense mechanism known as:
1. Sublimation
2. Suppression
3. Humor
4. Anticipation

Correct answer: 2. Suppression

Explanation: Postponing or delaying action on a conscious impulse (a conscious wish) and its accompanying emotions is known as suppression. It is the only conscious defense mechanism Other mature defense mechanisms are- Sublimation- Transformation of a socially unacceptable impulse into socially acceptable behavior . Anticipation- Preparing in advance for an unpleasant situation. Humor- Use of comedy to deal with unpleasant situation Altruism- Use of social cause to deal with own emotion .